The relationship between the working edge of the instrument and the tooth surface is:
1. Angulation
2. Access
3. Adaptation
4. Activation

Correct answer: 3. Adaptation